Circle of Willis is not formed by:
1. Anterior choroidal artery
2. Anterior cerebral artery
3. Posterior cerebral artery
4. Anterior communicating artery

Correct answer: 1. Anterior choroidal artery

Explanation: Ans. Anterior choroidal artery